MELD score includes -
1. Sr. creatinine
2. Transaminase
3. Albumin
4. Alkaline phosphatase

Correct answer: 1. Sr. creatinine

Explanation: Ans. is 'a' i.e., Sr. creatinine o The Model for End-stage Liver Disease (MELD) is a prospectively developed and validated chronic liver disease severity scoring system that uses a patient's laboratory values for - # Serum bilirubin # Serum creatinine # The international normalized ratio (INR) for prothrombin time to predict three-month survival. o Patients with cirrhosis and increasing MELD score is associated with increasing severity of hepatic dysfunction and increased three-month mortality risk. o Given its accuracy in predicting short-term survival among patients with cirrhosis, MELD was adopted by the United network for organ sharing (UNOS) in 2002 for prioritization or patients awaiting liver transplantation in the United States. Pediatric end stave liver disease (PELD) o Serum bilirubin o INR o Serum albumin o Age o Nutritional status